95% of confidence limit exist between -
1. +- 1. S.D.
2. +-2 S.D.
3. +-3 S.D
4. +- 4 S.D.

Correct answer: 2. +-2 S.D.

Explanation: Ans. is 'b' i.e., +- 2 SD 1 SD --> Coveres 68% of area (68% confidence limit) 2 SD --4 Coveres 95% of area (95% confidence limit) 3 SD --> Coveres 99.7% of area (99.7% confidence limit)